Number of neurons in enteric nervous system
1. 100 million
2. 10 million
3. l million
4. l lakh

Correct answer: 1. 100 million

Explanation: The ENS consists of some 100 million neurons, one-thousandth of the number of neurons in the brain, and about one-tenth the number of neurons in the spinal cord. The enteric nervous system is embedded in the lining of the gastrointestinal system. Ref: guyton and hall textbook of medical physiology 12 edition page number:442,443,444